About glycolysis true is:
1. Occurs in mitochondria
2. Complete breakdown of glucose
3. Conversion of glucose to 3C units
4. 3 ATPs are used in anaerobic pathway

Correct answer: 3. Conversion of glucose to 3C units

Explanation: Ans. C. Conversion of Glucose to 3C units(Ref. Harper 3 He page 157)Option a. Glycolysis occur in cytosolOption b. Complete breakdown of Glucose happens when Pyruvate formed by Glycolysis undergo Pyruvate Dehydrogenase reaction, followed by TCA Cycle.Option d. In anaerobic GlycolysisNumber of ATPs produced is 4Number of ATPs used is 2Net ATP yield by anaerobic glycolysis is 2